Punishment for Rape is under which section of IPC-
1. 375
2. 376
3. 312A
4. 304A

Correct answer: 2. 376

Explanation: Ans. is 'a' i.e., 376Laws related to rapeo 375 - Define rapeo 376- Lays down the punishment for offence of rape which may extend from 7 years to life imprisonment and also fine unless the victim is his ow n w ife and is not under 12 years, if raped woman is his own wife (but not under 12 years) the imprisonment may extend to 2 year with or without fine. Whoever commits rape in custody/taking advantage of his official (public servant) position'being on management or staff of hospital/ on a pregnant women/woman<12 years/or commits gang rape shall be punished with rigorous punishment of not less than 10 years or life imprisonment and also fine. Whoever commits rape on a woman<10 years of age or incestuous rape on a woman shall be punished with death.o 376 A, B, C, D - Intercourse with his own wife living separately under a decree of separation or under any custom without her consent is punished with imprisonment upto 2 years and also fine. (376A)Intercourse (not amounting to rape) by public sen-ant (376B), superintendent or manager of remand home etc (376C) any member of management of staff of hospital (376D) with any woman in their custodyo 114A - Lays down that in prosecution for rape if W'omen alleged to have been raped states that she did not consent, the court shall presume that she did not consent. This applies to custodial and gang rape,o 228A - Prohibits disclosure of the identity of the rape victim. Whoever prints, or publishes the name of any matter which may make known the identity of a rape victim shall be punished with imprisonment extending upto 2 years.o 354 - Lays down punishment for indecent assault.